Patients with syncope cannot maintain sufficient cardiac output to meet peripheral perfusion demands. Which of the following BEST describes cardiac output?
1. Cardiac output = end diastolic volume - end systolic volume
2. Cardiac output = heart rate X mean arterial pressure
3. Cardiac output = heart rate X stroke volume
4. Cardiac output = stroke volume X mean arterial pressure

Correct answer: 3. Cardiac output = heart rate X stroke volume

Explanation: Cardiac output = heart rate X stroke volume: is the correct answer. 1st Choice is incorrect: Stroke volume = end diastolic volume - end systolic volume 2nd Choice is incorrect: Double product (estimation of cardiac work) = mean arterial pressure X heart rate 4th Choice is a nonsense distractor Ref: Mohrman D.E., Heller L.J. (2010). Chapter 3. The Heart Pump. In D.E. Mohrman, L.J. Heller (Eds), Cardiovascular Physiology, 7e.